A pt. being investigated for anemia has a dry marrow tap; peripheral smear reveals tear drop cells; likely diagnosis is:
1. Leukemia
2. Lymphoma
3. Myelofibrosis
4. Polycythemia rubra vera

Correct answer: 3. Myelofibrosis

Explanation: Answer is C (Myelofibrosis) Presence of a dry tap from the marrow and tear drop cells in the peripheral smear suggests the diagnosis of myelofibrosis. Because of the fibrotic nature of this disorder, bone marrow aspiration is generally unsuccessful and yields a 'dry tap' Tear drop cells are suggestive of extra medullary haematopoesis as in spleen. Most characteristic are the Laboratory findings and the triad of Q Tear drop poikilocytes Q Leukoerythroblastic blood i.e. immature leukocytes and nucleated (immature) RBC's Q Giant abnormal plateletsQ